The most important factor in fracture healing is:
1. Good alignment
2. Organization of blood clot
3. Accurate reduction and 100% apposition of fractured fragments
4. Immobilisation

Correct answer: 4. Immobilisation

Explanation: D i.e. Immobilization